What is the dose of maintainence fluid in child weighing 10 kg?
1. 2000ml/day
2. 1000ml/day
3. 300ml/day
4. 1200ml/day

Correct answer: 2. 1000ml/day

Explanation: Ans. is 'b' i.e., 1000 ml/day Maintainenance fluid in pediatrics Holiday-segar methodFirst 10 kgSecond 10 kgEvery kg thereafter100ml/kg/day50ml/kg/day2ml/kg/day